Which of the following is not affected by a lesion in posterior column of spinal cord:
1. Romberg's sign
2. Temperature sense
3. Vibration sense
4. Ataxia

Correct answer: 2. Temperature sense

Explanation: Answer is B (Temperature sense): Temperature sense is a feature of the spinothalamic tract and not the posterior column. Vibration & Joint position sense are transmitted the posterior column. Altered joint position sense may lead to Ataxia and a positive Romberg's sign.